Prostate Specific Antigen is specific to
1. BPH
2. Prostatitis
3. Prostatic cancer
4. All of the above

Correct answer: 4. All of the above

Explanation: (D) All of the above# PSA is secreted by the epithelial cells of the prostate gland.> PSA is not a unique indicator of prostate cancer, but may also detect prostatitis or benign prostatic hyperplasia. Only 30 percent of patients with high PSA have prostate cancer diagnosed after biopsy.> PSA is used for Prostate cancer screening and levels between 4 and 10 ng/mL (nanograms per milliliter) are considered to be suspicious and confirm the abnormal PSA with a repeat test.> PSA levels are monitored periodically every 6-36 months after treatment for prostate cancer.